A pediatrician calls an ophthalmologist to examine baby if:
1. Baby born at 28 weeks gestation
2. Baby has respiratory distress
3. Birth weight of the baby is 2.3 kg
4. Jaundice

Correct answer: 1. Baby born at 28 weeks gestation

Explanation: a. Baby born at 28 weeks gestation(Ref: Nelson's 20/e p 3050, Ghai 8/e p 666)Indications of Screening for Retinopathy of prematurity (ROP):Birth weight <1,500g or gestational age < 32 wk &Selected neonates with a birth weight between 1,500 and 2,000g or gestational age of >32 wk with an unstable clinical course, including those requiring cardiorespiratory support.